Which one of the following statements is true of cystosarcoma phylloides-
1. It is a malignant tumour
2. It often metastasises to axillary nodes
3. It is usually bulky and may fungate through the skin
4. It is treated by radical mastectomy

Correct answer: 3. It is usually bulky and may fungate through the skin